Vitamin which is not required in the TCA cycle?
1. Pyridoxine
2. Niacin
3. Pantotheic acid
4. Riboflavin

Correct answer: 1. Pyridoxine

Explanation: Vitamins, in the form of their respective coenzymes, are required for proper functioning of the TCA cycle. vitamins needed in the TCA cycle are: Thiamine as TPP Riboflavin as FAD and FMN Niacin as NAD and NADH Pantothenic acid as a part of Coenzyme A Reference: Harpers illustrated biochemistry 30th edition